Treatment for streptococcal necrotizing fascitis -
1. Surgical debridement
2. Penicillin
3. Clindamycin
4. All

Correct answer: 4. All

Explanation: . Ans. is 'a' i.e., Surgical debridemet; 'b' i.e., Penicillin & 'c' i.e., Clinamycin